The drug of choice for a patient with a combination of primary generalized tonic clonic seizure and absence seizures is:
1. Ethosuximide
2. Carbamazepine
3. Valproic acid
4. Phenytoin sodium

Correct answer: 3. Valproic acid